Calculocementum
1. Non-calcified structures
2. Calculus embedded deeply in cementum
3. Non-attachment mechanisms
4. Non similar to cementum

Correct answer: 2. Calculus embedded deeply in cementum